"Clue" cells are found in:
1. Bacterial vaginosis
2. Chlamydia trachomatis
3. Neisseria gonorrhoea
4. Trichomonas

Correct answer: 1. Bacterial vaginosis

Explanation: Bacterial vaginosis